Which one is not the bad prognostic sign for pancreatitis?
1. TLC >16,000/mL
2. Calcium <8 mmol/L
3. Glucose >200 mg%
4. Prothrombin >2 times the control

Correct answer: 4. Prothrombin >2 times the control